Cavitatory lesions in lung are seen in
1. Primary pulmonary Tuberculosis
2. Staphylococcal pneumonia
3. Pneumoconiosis
4. Interstitial Lung disease

Correct answer: 2. Staphylococcal pneumonia

Explanation: Causes of cavitation include infections malignancies tuberculosis but not primary ptb pulmonary abscess septic emboli nontb mycobacterium infection aspergillosis systemic diseases like granulomatosis with polyangitis, sarcoidosis.